Antibodies against acetylcholine receptors are seen in
1. Lambert-Eaton-myasthenic syndrome
2. Hyperthyroidism
3. Botulism
4. Myasthenia gravis

Correct answer: 4. Myasthenia gravis

Explanation: Ans. D: Myasthenia gravis Myasthenia gravis (MG) is a relatively rare autoimmune disorder of peripheral nerves in which antibodies form against acetylcholine (ACh) nicotinic postsynaptic receptors at the myoneural junction. A reduction in the number of ACh receptors results in a characteristic pattern of progressively reduced muscle strength with repeated use of the muscle and recovery of muscle strength following a period of rest. The bulbar muscles are affected most commonly and most severely, but most patients also develop some degree of fluctuating generalized weakness.